A patient presented with right sided hemiplegia while on warfarin. Which of the following will be the initial investigation of choice?
1. Chest X-ray
2. CT- scan
3. MRI
4. PET-scan

Correct answer: 2. CT- scan

Explanation: Ans. B. CT-scan* For evaluation of bleeding in the brain the preferred investigation is CT scan. The bleeding in the brain shows up as hyper-density on CT scan.